A 7-year-old girl passed 15 stools in last 24 hours and vomited thrice last 4 hours, she is irritable but drinking fluids, optimal therapy?
1. Home fluids
2. IV fluids
3. ORS
4. IV fluids followed by ORS

Correct answer: 3. ORS

Explanation: ORAL REHYDRATION THERAPY : With introduction of oral rehydration by WHO it is now firmly established that oral rehydration treatment can be safely and successfully used in treating acute diarrhoeas due to all aetiologies, in all age groups, and in all countries. The aim of oral fluid therapy is to prevent dehydration and reduce mortality. It has been the experience of workers at Kolkata that as many as 90-95 per cent of all cases of cholera and acute diarrhoea can be treated by oral fluids alone. Oral fluid therapy is based on the observation that glucose given orally enhances the intestinal absorption of salt and water, and is capable of correcting the electrolyte and water deficit. Ref : Park 23rd edition Pgno : 224